Which of the following beverages contains the maximum percentage of alcohol:
1. Whiskey
2. Brandy
3. Wine
4. Rum

Correct answer: 4. Rum

Explanation: Ans. (D). Rum(Ref: Review of Forensic Medicine and toxicology; Gautum Biswas; 2nd edition; Pg - 542)Among the given options, Rum contains the maximum percentage of alcohol.